Which of the following is least affected in Vit -C
deficiency
1. Gingival Fibres
2. Periodontal ligament
3. Blood Vessels of the gingiva
4. Epithelial lining of the mucosa

Correct answer: 4. Epithelial lining of the mucosa